A child with recent onset of URTI after 2 days presents with acute onset of breathlessness cough and fever. All of the following can be given except -
1. Antipyretics
2. Morphine
3. Antibiotics
4. O2 inhalation

Correct answer: 2. Morphine

Explanation: Ans. is 'b' i.e., Morphine o Respiratory insufficiency after upper respiratory tract infection is the classic presentation of bronchiolitis. Treatment of Bronchiolitis ? Treatment is essentially symptomatic. The child should be nursed in humid atmosphere. O2 remains the mainstay of treatment. o Antibiotics - Though antibiotics have no role* but Ribavarin can sometime be used. o Iffever is present antipyretics can be used. Continuous positive airway pressure. 1-32 adrenergic drugs and Ipratropium bromide are also not recommended for infants < 6 months.